Nitroglycerine causes all except
1. Hypotension and bradycardia
2. Methemoglobinemia
3. Hypotension and tachycardia
4. Vasodilation

Correct answer: 1. Hypotension and bradycardia

Explanation: Methemoglobinemia is not marked in clinically used doses. Nitrates produce some arteriolar dilatation and slightly decrease total peripheral resistance (TPR) or afterload on heart. With usual doses, and if the patient does not stand still (which favors pooling of blood in the legs), tachycardia is not prominent. With large doses and if the mean BP falls significantly, reflex sympathetic stimulation occurs ie tachycardia, increased cardiac contractility leading to increased cardiac work. Ref: Tripathi 8th ed. (REF. ESSENTIALS OF MEDICAL PHARMACOLOGY K.D TRIPATHI-6th edition Page No.523)